Following injury to a blood vessel, immediate haemostasis is achieved by
1. Fibrin deposition
2. Vasoconstriction
3. Platelet adhesion
4. Thrombosis

Correct answer: 2. Vasoconstriction